A 12-year-old boy presented to the orthodontic clinic with irregularity of his front teeth. Intraoral examination reveals class I molar relationship and crowding of maxillary and mandibular teeth. Orthodontic diagnosis is:
1. Class I type 1
2. Class I type 2
3. Class I type 3
4. Class I type 4

Correct answer: 1. Class I type 1

Explanation: Dewey divided Angle’s class I into 5 types and Angle's class III into 3 types.